The normal absolute eosinophil count is:
1. 40 to 440 cells/C.mm
2. 500 to 900 cells/C.mm
3. 1200 to 1500 cells/C.mm
4. 1500 to 2,000 cells/C.mm

Correct answer: 1. 40 to 440 cells/C.mm